All the following are characteristics of the plasma membrane except:
1. It serves as a selective transport route through the facilitation of both active and passive transport.
2. It possesses a thickness of 1 to 2 mm.
3. It is involved in the generation of ionic gradients between the cytoplasm and the external environment.
4. It serves as a sensor of signals from the extracellular environment.

Correct answer: 2. It possesses a thickness of 1 to 2 mm.

Explanation: Plasma membrane of eukaryotic cells has a thickness of about 5 nm, constituted by lipid bilayer and embedded proteins. Hence, option B is the answer. It is selective for the transport of substances into or out of the cells - for active as well as passive transports It consists of Na+-K+ pump. It causes active transport of sodium out of the cell and that of potassium into the cell. Thus, ionic gradients are established. Option C is a correct statement. Proteins - Integral proteins (sensors for signals from the external environment) and peripheral proteins.